A 45 year male presents with delirium, increased body temperature, dryness, dilated pupils and HR 130/min. Possible diagnosis:
1. Carbamate poisoning
2. Organophosphate poisoning
3. Atropine poisoning
4. Cocaine poisoning

Correct answer: 3. Atropine poisoning

Explanation: (Ref: Katzung Pharmacology, 14th ed. pg. 127-28)Organophosphates are irreversible Acetylcholinesterase inhibitor which is well absorbed from the skin, lung, gut, and conjunctiva--thereby making them dangerous to humans and highly effective as insecticides.Due to inhibition of acetylcholinesterase enzyme, acetylcholine levels are increased and the patient therefore presents with cholinergic symptoms: (Mn: SLUDGE-FB)Salivation, Lacrimation, increased urination, Diarreha, GI distress, Emesis, Faciculation, BradycardiaDOC for this poisoning: ATROPINEOXIMES (Pralidoximes, Di-Acetyl monoxime) are known as AchE enzyme reactivators. These are used only in organophosphate poisoning.Pin-point pupil is seen in poisoning with: (Mn: POMP)Pontine hemorrhage, Organophosphate, Morphine and Phenol poisoning